Which antiviral drug is used in both HIV an hepatitis B:-
1. Acyclovir
2. Abacavir
3. Emtricitabine
4. Enfuvirtide

Correct answer: 3. Emtricitabine

Explanation: Drugs used in treatment of both HIV and Hepatitis B: * Lamivudine * Emtricitabine * Tenofovir Acyclovir and Abacavir are protease inhibitors used in treatment of HIV. Enfuviritide is a Gp41 inhibitor, it inhibits the fusion of virus with host cell.